Axis artery of lower limb is derived from ?
1. Natal artery
2. 1st lumbar intersegmental artery
3. 5th lumbar intersegmental artery
4. Sacral artery

Correct answer: 3. 5th lumbar intersegmental artery

Explanation: Ans.C.5th lumbar intersegmental arteryAxis arteryDuring fetal life (development), each limb is supplied by an axis artery that is derived from intersegmental arteries.The axis artery runs along the central axis of the limb.Upper limb axis artery:Derived from: Seventh cervical intersegmental arteryDerivatives: Axillary artery, branchial artery, Anterior interosseous artery & Deep palmer arch Lower limb axis artery:Derived from: 5th lumbar intersegmental arteryDerivatives: Inferior gluteal artery, Arteria nervi ischiadici, Popliteal artery above popliteus, Lower part of peroneal artery & Some parts of plantar arch